All of the following are true for 95-95-95 Target except
1. 95% of all the people living with HIV will know about their HIV status by 2024.
2. 95% of all the people diagnosed with HIV will receive A by 2024
3. 95% of all the people receiving A will have a CD4 count in the normal range by 2024.
4. 95% of all people receiving A will have a viral load suppression by 2024

Correct answer: 3. 95% of all the people receiving A will have a CD4 count in the normal range by 2024.

Explanation: UNAIDS 95-95-95 TARGET Reaching 95-95-95 in 2024 means ending the AIDS epidemic is possible by 2030 95% of people living with HIV know their status 95% of those who test positive have access to treatment 95% of people under treatment have an undetectable viral load.